Pyoverdin is produced by :
1. Pseudomonas aeruginosa
2. Clostridium perfringenes
3. Bacillus stearothermophilus
4. Salmonella typhi

Correct answer: 1. Pseudomonas aeruginosa

Explanation: Pyoverdin is green coloured diffusible pigment produce by Pseudomonas aeruginosa Other pigments are:- Pyocyanin - Blue Pyorubin - Red Pyomelanin - Black